False about bacillus anthrax is
1. Gram negative
2. Bacilli in long chain
3. Non haemolytic colony in blood agar
4. Medusa head appearance on nutrient agar

Correct answer: 1. Gram negative

Explanation: The Bacillus anthrax is one of the largest of pathogenic bacteria. It is Gram-positive but tends to be decolorized easily so as to appear Gram-variable or even Gram-negative. It is non-acid fast. It is non-motile. Reference: Textbook of microbiology; Ananthanarayan and paniker's; 10th Edition; Pg: 249